Most Important component of level of living is
1. Health
2. Education
3. Occupation
4. Housing

Correct answer: 1. Health

Explanation: Impairment of health always means impairment of the level of living. hence health is the most important. Level of living is a parallel term for standard of living used in United Nations. It includes 9 components. Ref : Park's Textbook of Preventive and Social Medicine; 23rd edition - Pgno 16